Centchroman is a?
1. Female oral contraceptive
2. Male contraceptive
3. Tocolytic
4. Oxytocic

Correct answer: 1. Female oral contraceptive

Explanation: ANSWER: (A) Female oral contraceptiveREF: Dutta 6th ed p. 558CENTCHROMAN_(saheli)Product of CDRI LucknowNon steroidal potent anti estrogenic effectsOral OCPContains ormeloxifene